DOC in adrenal insufficiency?
1. Hydrocortisone
2. Adrenaline 2012-13
3. Dexamethasone
4. Fludrocortisone

Correct answer: 1. Hydrocortisone

Explanation: hydrocortisone is the mainstay of treatment. Dose of about 20_ 30 mg /d ( Harrison 17 pg 2264)